The following about leptospirosis is true except ?
1. High fever with chills
2. Seen in sewage workers
3. Jaundice is present
4. Tetracycline is the drug of choice

Correct answer: 4. Tetracycline is the drug of choice

Explanation: Ans. is 'e' i.e., Tetracycline is drug of choice Treatment of leptospirosis Mild cases --> Doxycycline or amplicillin or amoxicillin *Moderate or severe --> Penicillin G or ampicillin or amoxicillin or erythromycin Chemoprophvloxis *Doxycycline is the DOC. "In severe illness, I.V. benzyl penicillin is the drug of choice, for milder infections a 7-10 days course of oral amoxicillin appropriate." - Green wood 16 /e 355 . Patients allergic to penicillin can be treated with erythromycin.